Two farmers were brought and they died soon. Smell of bitter almonds was coming from their mouth. They died of which poison
1. Organophosphorus
2. Hydrogen Cyanide
3. Aconite
4. Opium

Correct answer: 2. Hydrogen Cyanide

Explanation: Ans. is 'b' i.e. Hydrogen cyanide Smell of bitter almonds is seen in cyanide poisoningAlso remember:Garlic odour is seen in-Arsenic poisoning*Fruity odour is seen in-Ethyl alcoholKerosene like odour-Kerosene, organophosphatesPhenolic odour-Carbolic acidRotten eggs-Hydrogen sulphide*Fishy-Zinc phosphideBurnt rope-Cannabis*Bitter almonds-tcyanide